A man presents with poor feeble pulse, hypotension and cold extremity following history of bee sting. What type of shock is likely in this situation?
1. Septic
2. Cardiogenic
3. Hypovolemic
4. Distributive

Correct answer: 4. Distributive

Explanation: Bee sting | Release Histamine | Increase vascular permeability | Escape of fluid from Intravascular to extravascular space | Distributive shock Comparison of different types of shock Hypovolemic Hypotension, tachycardia weak thready pulse cool, pale, moist skin U/O decreased Decreased CO Increased SVR Cardiogenic Hypotension, tachycardia weak thready pulse cool, pale, moist skin U/O <30 ml/hr Crackles, tachypnea Decreased CO Increased SVR Neurogenic Hypotension, Bradycardia warm Dry Skin Decreased CO Venous & arterial vasodilation, loss sympathetic tone Anaphylactic Hypotension, tachycardia Cough, dyspnea pruritus, urticaria Restlessness, decreased LOC Decreased CO Decreased SVR Septic Hypotension, tachycardia full bounding pulse, tachypnea pink, warm, flushed skin decreased U/O, fever Decreased CO, Decreased SVR